True about rigor mortis -a) First appear in chinb) It last 18-36 hours in summerc) Seen immediately after deathd) It disappears in the sequence as it appearse) It last 24-48 hours in winter
1. abc
2. ade
3. ace
4. bde

Correct answer: 4. bde

Explanation: Rigor mortis first appears in eyelid (among voluntary muscles).
It lasts 18-36 hours in summer and 24-48 hours in winter.
It starts 1-2 hours after death.
It disappears in same order in which it has appeared.